Organisms that have not been cultured successfully so far is?
1. Leptospira
2. Treponema pallidum
3. Bordetella
4. Staphylococcus

Correct answer: 2. Treponema pallidum

Explanation: Pathogenic Treponemes do not grow in artificial culture media. They require a living organism like a virus for their growth REF: Textbook of microbiology Ananthanarayan, and Paniker. Page no.: 371